Which of the following statement is false with respect to demyelinating disorders?
1. Increase in blood brain barrier permeability
2. More common in females
3. Involves biochemical abnormality of myelin
4. Multiple Sclerosis is MC type of demyelinating disorder.

Correct answer: 3. Involves biochemical abnormality of myelin

Explanation: Diseases involving biochemical abnormality of myelin are k/a dysmyelinating disorders Eg. Zellweger syndrome, Adult-onset autosomal dominant leukodystrophy MS( Multiple Sclerosis) MC type of demyelinating, chronic inflammatory disorder. | in blood brain barrier permeability ( damage by immune system). More common in females than male.